What is the incubation period of hepatitis B?
1. 1 - 30 days
2. 15 - 45 days
3. 45 - 180 days
4. 2 weeks - 6 months

Correct answer: 3. 45 - 180 days

Explanation: 30-180 incubation period according to text books Hepatitis B Dane particle Earliest evidence of infection HbsAg+ (Surface antigen) First antibody to Appear IgM anti HBcAg+ HBsAg + IgM anti HBcAg + Acute Hep B